Which of the following is the most common postoperative complication related to intubation:
1. Malposition
2. Bleeding
3. Sore throat
4. Abductor Paralysis

Correct answer: 3. Sore throat

Explanation: Ans. C: Sore throat Sore throat (pharyngitis, laryngitis) is the most common post-operative complication of intubation It usually subsides within 2-3 days without any treatment